Costal cartilage of 8th and 9th rib articulate with each other by which type of joint
1. Synovial
2. Fibrous
3. Synchondrosis
4. Symphysis

Correct answer: 1. Synovial

Explanation: All joints in the anterior rib-cage are synovial Except: 1st rib to sternum - Synchondrosis. 10th rib - Ligamentous (never synovial) Ribs 2-7 : Synovial joints Ribs 8-9 : Synovial joints b/w each other, articulate 7th rib attachment synovial joint Xiphisternal joint : Synchondrosis Manubriosternal : Symphysis